A component of conversion disorder is?
1. Hysteric fits
2. Derealisation
3. Depersonalisation
4. Amnesia

Correct answer: 1. Hysteric fits

Explanation: Hysteric fits REF: Kaplan 9th ed p. 676ICD 10 includes conversion disorders under dissociative disorders, however, traditionally conversion disorders are known as hysteriaConversion disorder may present withHysterical fitsMotor symptoms like abnormal movements and gait disturbance or inability to moveSensory symptoms likeBlindness but walks and doesnt injure himselfTubular visionGlove stocking anesthesiaLoss of sensation (not dermatomal)